Suture least adherent to tissue and have a property of
plasticity
1. Nylon
2. Prolene
3. PDS
4. Silk

Correct answer: 2. Prolene